Not true about Edward syndrome
1. VSD is the most common congenital heart defect
2. Rockerbottom foot
3. Respiratory failure
4. Normal IQ

Correct answer: 4. Normal IQ

Explanation: intellectual disability is a feature of Edward syndrome.